which of the following is type of histironic personality disorder
1. theaterical and dramatic
2. odd and excentric
3. magical thinking
4. black and white thinking

Correct answer: 1. theaterical and dramatic

Explanation: * HISTIRIONIC * Theatrical behavior * Superficial charming * Life and soul of the party * Craving for attention, appreciation and affection * Excessive reaction to minor events( over act) * Egocentricity * Seductiveness * manipulative Ref.Kaplon and Sadock, synopsis of psychiatry, 11 th edition, pg no.744